Parathyroid glands develop from branchial pouches
1. 3rd & 4th
2. 1st & 2nd
3. 2nd & 3rd
4. 5th & 6th

Correct answer: 1. 3rd & 4th

Explanation: The inferior parathyroid glands develop from endoderm of the third pharyngeal pouch
The superior parathyroid glands develop from endoderm of the fourth pharyngeal pouch